Most common intracranial neoplasm in adults is:
1. Meningioma
2. Astrocytoma
3. Posterior fossa tumor
4. Ganglioneuroma

Correct answer: 1. Meningioma

Explanation: Harrison's says "meningiomas are diagnosed with increasing frequently as more people undergo neruroimaging for various indications. They are now the most common primary brain tumor, accounting for approximately 35% of total MC primary tumor: Meningioma(35%)>glialtumors(30%) MC malignant tumor of childhood: Medulloblastoma MC brain tumor: Metastasis Ref: Harrison's 19th edition Pgno: 602